Commonest cause of epistaxis in children is -
1. Trauma
2. Foreign body
3. Nasal diphtheria
4. Enlarged adenosis

Correct answer: 1. Trauma